'ROME scheme' was forwarded by:-
1. Bhore committee
2. Chadah committee
3. Jungalwallah committee
4. Srivastava committee

Correct answer: 4. Srivastava committee

Explanation: Shrivastava committee (1975) : 'Group on medical education and support manpower' Create 'brand of para - professionals and semi - professional health worker' from within the community Development of 'referral services complex' (between PHCs and higher level referral and services centers) 'Reorientation of Medical Education' (ROME) Scheme 'Village health guide (Community Health Worker) Scheme' Health assistants Medical & education commission.